Organelles which plays a pivotal role in apoptosis is
1. Cytoplasm
2. Golgi complex
3. Mitochondria
4. Nucleus

Correct answer: 3. Mitochondria

Explanation: Ref, Harrison 18/e p681,9/e p53